Cell wall synthesis is inhibited by all except:
1. Lincomycin
2. Penicillin
3. Cephalexin
4. Ampicillin

Correct answer: 1. Lincomycin